True about hydrocution are all except:
1. Electrocution in water
2. Death results from cardiac arrest
3. Results from falling in the water with feet first
4. Emotionally tense individuals are prone for this

Correct answer: 1. Electrocution in water

Explanation: Ans. A: Electrocution in water Any poorly-diagnosed, sudden death that takes place in water, but is not due to drowning is known as hydrocution Immersion syndrome/ hydrocution/ submersion inhibition: Death results from cardiac arrest due to vagal stimulation as a result of? Cold water Water striking the epigastrium Cold water penetrating ear drums, nasal passages and the pharynx Alcohol increases such effect.